All of the following are the adverse effects of Tacrolimus EXCEPT :
1. Nephrotoxicity
2. Neurotoxicity
3. Hirsutism
4. Hyperglycemia

Correct answer: 3. Hirsutism

Explanation: Tacrolimus produces the same adverse effects like cyclosporine but unlike latter it do not cause hirsutism and gum hypertrophy. (Harrison)
Toxicity of cyclosporine includes nephrotoxicity, hypertension, hyperglycemia, liver dysfunction, hyperkalemia, altered mental status, seizures and hirsutism.